Adenoid cystic carcinoma may cause paralysis of:
1. Lingual nerve.
2. Facial nerve.
3. Hypoglossal nerve.
4. All of the above.

Correct answer: 4. All of the above.